A 45-year-old man comes to the physician because of mild difficulty in swallowing and a bitter sensation in the mouth He has a 5-year history of GERD and is compliant with medications. The endoscopic findings indicate benign pathology. 

Which of the following findings is most likely?
1. Esophageal smooth muscle atrophy
2. Esophageal strictures
3. Esophageal webs
4. Intestinal metaplasia

Correct answer: 2. Esophageal strictures